All of the following indicate Fetal distress except:
1. Thick (pea-soup) meconium
2. Fetal heart rate 100/minute
3. Loss of beat-to-beat variation
4. Fetal skull blood pH>7.32

Correct answer: 4. Fetal skull blood pH>7.32

Explanation: Fetal skull blood pH>7.32